Which of the following causes peripheral neuritis?
1. Methotrexete
2. Vincristine
3. Busulfan
4. Cyclophosphamide

Correct answer: 2. Vincristine

Explanation: Vincristine ( oncovin): It is a rapidly acting drug, very useful for inducing remission in childhood acute leukaemia, but is not good for maintenance therapy. Other indications are lymphosarcoma, Hodgkin's disease, Wilms' tumour, Ewing's sarcoma and carcinoma lung. Prominent adverse effects are peripheral neuropathy and alopecia. Bone marrow depression is minimal. ESSENTALS OF MEDICAL PHARMACOLOGY K.D.TRIPATHI SIXTH EDITION PAGE NO:825